Which of the following statements regarding the action of local anesthetics is true?
1. More the pH in an area Less effective is the action of anesthetic agent
2. Less the pH of in an area, less effective is the action of an anesthetic agent
3. There is little relation between H ion concentration and anesthetic activity
4. There is no correlation between H ion concentration and anesthetic

Correct answer: 2. Less the pH of in an area, less effective is the action of an anesthetic agent